Minimum amount of folic acid supplementation a woman should take preconceptionally is
1. 10 micrograms
2. 40 micrograms
3. 100 micrograms
4. 400 micrograms

Correct answer: 4. 400 micrograms

Explanation: The incidence of neural-tube defects (NTDs) is 0.9 per 1000 live births, and they are second only to cardiac anomalies as the most frequent structural fetal malformationIt is currently recommended, that all women who may become pregnant take daily 400mg of folic acid orally before conception and through the first trimesterReference: William's obstetrics; 25th edition; Chapter 8; Preconceptional care